Acrosome cap of sperm derived from ?
1. Golgi body
2. Mitochondria
3. Nucleus
4. Centromere

Correct answer: 1. Golgi body

Explanation: Ans. is 'a' i.e., Golgi body